Glomerular capillary pressure differ from other capillaries of body in:
1. Higher filtration pressure
2. Lower filtration pressure
3. Both of the above
4. None

Correct answer: 1. Higher filtration pressure